Gene responsible for embryogenesis of eye
1. PAX 6
2. PAX 2
3. PAX 5
4. RAX

Correct answer: 1. PAX 6

Explanation: Ans. (a) PAX 6(Ref: Emery genetics)The PAX-6 gene locus is a transcription factor for the various genes and growth factors involved in eye formation. Eye formation in the human embryo begins at approximately 3 weeks into embryonic development and continues through the tenth week.